Investigation of choice in diffuse esophageal spasm is -
1. Manometry
2. Esophagoscopy
3. Barium examination showing tertiary contractions
4. CT thorax

Correct answer: 1. Manometry

Explanation: Diffuse esophageal spasm (DES) Motility disorder of the esophagus Representing uncoordinated tertiary contractions of the esophagus, Corkscrew esophagus is associated with diffuse esophageal spasm On barium swallow, DES may appear as a corkscrew or rosary bead esophagus, but this is uncommon. Manometry is the gold-standard diagnostic test / investigation of choice. Differential Diagnosis * Hypercontracting esophagus (nutcracker esophagus) has normal peristalsis but high manometric intra-esophageal pressures o Barium swallow will be normal or show dysmotility